A patient presented in casualty with a history of sudden onset palpitation, sensation of impending doom and constriction in his chest. This lasted for about 10-15 minutes after which he became all right. What is the MOST likely diagnosis?
1. Phobia
2. Personality disorder
3. Generalized Anxiety disorder
4. Panic attack

Correct answer: 4. Panic attack

Explanation: This patient having typical symptoms lasting for about 15 minutes and becoming alright after that indicates that he is suffering from panic attack. In panic attack patients usually suffers from shortness of breath, tachypnea, tachycardia, tremor, dizziness, hot or cold sensations, chest discomfort, and feelings of depersonalization or derealization. These symptoms usually reaches its severity in 10 minutes. At least 4 of these symptoms should be present for the diagnosis to be made and it most commonly diminishes in 30 minutes. Generalised anxiety disorder is a syndrome of persistent worry coupled with symptoms of hyperarousal. It begins in early adult life and is slightly more common in women. Ref: Shelton R.C. (2008). Chapter 19. Anxiety Disorders. In M.H. Ebert, P.T. Loosen, B. Nurcombe, J.F. Leckman (Eds), CURRENT Diagnosis & Treatment: Psychiatry, 2e